Investigation of choice in case of a pt. with episodic hypertension, headache and thyroid nodule -
1. Urinary HIAA
2. Urinary catecholomine and aspiration of nodule
3. Thyroid function test only
4. Urinary basic amino acid metabolite

Correct answer: 2. Urinary catecholomine and aspiration of nodule

Explanation: This pt is having MEN type II syndrome which is characterized by Pheochromocytoma and Medullary carcinoma of thyroid (MCT) Urinary catecholamines are increased in pheochromocytoma Aspiration of nodule will show amyloid material (seen in MCT) Ref : Harrison 17/e p2359